All are drugs used against HIV, EXCEPT:
1. Elvucitabine
2. Bevirimat
3. Maraviroc
4. Tegaserod

Correct answer: 4. Tegaserod

Explanation: New therapies are continually being sought for HIV that exploit new viral targets, have activity against resistant viral strains, have a lower incidence of adverse effects, and offer convenient dosing. New agents of existing classes that are currently in advanced stages of clinical development include the NRTI agent elvucitabine, the NNRTI agents TMC-278 and IDX899, the PI agent bracanavir, entry inhibitors such as the CCR5 receptor antagonists vicriviroc and PRO 140, and integrase inhibitors such as elvitegravir. In addition, new drug classes such as maturation inhibitors (bevirimat) and the CD4 receptor inhibitor TNX-355 are under investigation. Ref: Katzung 11th edition Chapter 49.